True about summation is?
1. Temporal summation is the application of 2 stimulitogether
2. Spatial summation is the application of two stimuli oneafter another
3. Subthreshold stimuli are used
4. All are true

Correct answer: 3. Subthreshold stimuli are used

Explanation: Subthreshold stimuli are used.SummationA subthreshold stimulus does not produce a response, but when more than one subthreshold stimuli are applied in response is produced.The application of two subthreshold stimuli may be sufficiently quickly, one by another (temporal summation) or two subthreshold stimuli together at different places(Spatial summation).The summation is due summation of EpsP in synapses (at post-synaptic neuron).